Proptosis is seen in – a) Neuroblastoma  b) Meningioma  c) Sympathetic ophthalmia  d) Injuries
1. abd
2. abc
3. bcd
4. bde

Correct answer: 1. abd

Explanation: Neuroblastoma and optic nerve sheath meningioma can cause proptosis.
Traumatic hiatus can cause transmission of cerebral pulsation and pulsatile proptosis.